True statements about Pneumococcus are all except
1. Pneumolysin a thiolactivated toxin, exerts a variety of effect on ciliary & PMN's
2. Autolysin may contribute to the pathogenesis of pneumococcal disease by lysing the bacteria
3. Anticapsular antibodies are serotype specific
4. The virulence of pneumococci is dependent only on the production of the capsular polysaccharide

Correct answer: 4. The virulence of pneumococci is dependent only on the production of the capsular polysaccharide

Explanation: The virulence of Streptococcus pneumoniae depends on; Capsular polysaccharide, because of its acidic and hydrophilic properties, protects the cocci from phagocytosis. Capsulated streptococcus pneumoniae are not phagocytosed efficiently in fluid media or exudates, however, they are susceptible to surface phagocytosis, being engulfed against a firm surface, such as a fibrin clot or epithelium. The enhanced virulence of type 3 Streptococcus pneumoniae is due to the abundance of its capsular material. Non-capsulated strains are avirulent. Pneumolysin: a membrane damaging toxin. Cytotoxic, complement activating properties and is immunogenic. Autolysin: by releasing bacterial components in infected tissues, it may also contribute to virulence. Reference: Textbook of Microbiology; Anathanarayan and panicker's; 10th edition; Page no: 226